Staphylococcus aureus is present in mayonnaise. The patient presents with nausea, vomiting, and abdominal pain, followed by diarrhea beginning 1-6 hours after ingestion of the toxin. The toxin is:
1. Not a preformed enterotoxin toxin
2. Preformed enterotoxin toxin
3. Preformed non enterotoxin toxin
4. Non preformed non enterotoxin toxin

Correct answer: 2. Preformed enterotoxin toxin

Explanation: Preformed enterotoxin toxin